Regeneration in periodontal therapy aims at:
1. Bone refill
2. Repair of the bony defect
3. Reconstitution of the lost periodontium
4. Removal of the diseased bone

Correct answer: 3. Reconstitution of the lost periodontium